Insulin acts on which enzyme during glycolysis?
1. Glucokinase
2. Hexokinase
3. Glucose-6-phosphatase
4. Adenylate kinase

Correct answer: 1. Glucokinase

Explanation: In glycolysis, insulin acts on hexokinase IV (i e. glucokinase) and hexokinase II, but not on other (I & III) hexokinase.